Death caused in suicide by household things in Japan is due to the production of:
1. Acidic solution
2. H2S
3. HCN gas
4. CO

Correct answer: 2. H2S

Explanation: Ans. H2S